Which of the following is a poor prognostic factor in Acute Lymphoblastic Leukemia (ALL) -
1. Hyperdiploidy
2. t (9;22); t (4; 11)
3. 2-8 years of age
4. WBC count < 50,000

Correct answer: 2. t (9;22); t (4; 11)

Explanation: The high risk indicators in ALL includes age below 1 year & above 10 year, male ,initial white cell count more than 50,000/mm^3, massive hepatomegaly & splenomegaly, prwsence of mediastinal mass & central nervous system leukaemia , mature Bcell as phenotype , hypodiploidy, t(9;22),t(4;11), t(8;14).Reference :Ghai essential pediatrics 8th edition pg no 601.